Rapid termination of the action of Suxamethonium is due to -
1. Rapid renal elimination
2. Enzymatic degradation by pseudocholinesterase
3. Metabolized by liver to acetyl CoA
4. Redistribution

Correct answer: 2. Enzymatic degradation by pseudocholinesterase

Explanation: Ans. is 'b' i.e., Enzymatic degradation by pseudocholinesterase o SCh is rapidly hydrolysed by plasma cholinersterase, some patients have genetically determined abnormality or deficiency of pseudocholinesterase, in them, SCh causes phase II block (dual block).